Infraclavicular lesion of tuberculosis is known as
1. Gohns focus
2. Puhls focus
3. Assmans focus
4. Simmons focus

Correct answer: 3. Assmans focus

Explanation: refer robins page no 370 Hematogenous spread to apex of upper lobe resulting in a post primary infective lesion which heals with scarring is known as "Simon's focus." ... "Puhl's lesion/nodule" is the term for isolated lesion of chronic pulmonary TB in the apex of the lung.